Least common site to be involved in osteoarthritis amongst the following is:
1. Hip joint
2. Knee joint
3. Carpometacarpal joint of thumb
4. Metacarpophalangeal joint

Correct answer: 4. Metacarpophalangeal joint

Explanation: Answer is D (Metacarphalangeal joints) Wrists and Metacarpophalangeal joints are generally not involved in Osteoarthritis - Harrison 16th/2040 Sparing of wrist and metacarpophalangeal joint with involvement of base of thumb (i.e. carpometacarpal joint) is very characteristic of 'osteoarthritis'.